Most common carcinoma in female worldwide ?
1. Cervix
2. Lung
3. Breast
4. Kidney

Correct answer: 3. Breast

Explanation: Ans. is 'c' i.e., Breast